Inheritance of Huntington's chorea-
1. AD
2. AR
3. XR
4. XD

Correct answer: 1. AD

Explanation: Ans. is 'a' i.e., AD o Huntington's disease has an autosomal dominant pattern of inheritance.